Koilonvchia is seen in: (Repeat)
1. Iron deficiency anaemia
2. Hypoalbuminemia
3. Lead poisoning
4. Psoriasis

Correct answer: 1. Iron deficiency anaemia

Explanation: Ans: A. Iron deficiency anemiaReference: Thappa DM. editor. Essentials in Dermatology, 2nd edn. New Delhi: JaypeeExplanation: (See the following table)Nail abnormalityDescriptionCausesKoilonychiaReverse curvature in the longtitudinal and transverse axisIron deficiency anemiaMacronychia/McronychiaToo small or large nails--OnycholysisDistal or lateral separation of the nail from nail bedPsoriasis, OnychomycosisPterygiumCentral fibrotic tongue like band from proximal nail fold joins the nail bed dividing the nail proximal!}1 into twoLichen planusSubungual hyperkeratosisExcessive collection of squamous debris under the free edge of nailPsoriasis OnychomycosisOnychogryphosisNail get thickened and grows upwards in a spiral mannerChronic traumaPachynychia congenitaHypertrophy of nails associated with nail bed and hyponychial hyperkeratosis--Beau's linesTransverse grooves on nailsTemporary cessation of nail formationChemotherapyHypocalcemiaNail infectionCoronary occlusionMalnutritionTerry's nailNail N white proximally hut normal distallyCongestive cardiac failureCirrhosisDiabetes mellitusPittingPunctate erosions on nail surfacePsoriasisAlopecia areataRed LunulaeNails show erythema of lunulaPsoriasis (Dotted red lunula) Congestive cardiac failure CirrhosisSLESplinter hemorrhagesLongiitudinal hemorrhages in nail bedPsoriasisDermatitisFungal infectionsInfective endocarditis SLEMycosis fungoidesRheumatoid arthritisMees linesWhitening or discoloration of the nail in bands or "stria" that run parallel the lunula (nail base)CirrhosisChemotherapyHeavy metal poisoning(Arsenic, Thallium)TraumaMuehrcke's nailsWhite lines (leukonychia) that extend all the way across the nail and he parallel to the lunula {half moon)Non-specificAssc with decreased protein synthesisHypoalbuminemiaNephrotic syndrome